A 23-year-old woman presents with cervical and mediastinal lymphadenopathy. Biopsy of a cervical lymph node reveals a nodular appearance with fibrous bands, effacement of the lymph node architecture, and numerous lacunar cells. Which of the following is true regarding this disorder?
1. Benign neoplasm
2. Frequent association with EBV infection
3. Lacunar cells are positive for CD20 and CD45
4. Relatively favorable clinical course

Correct answer: 4. Relatively favorable clinical course

Explanation: * The diagnosis is Hodgkin lymphoma, Nodular sclerosis subtype. Most common subtype of Hodgkin lymphoma (65% to 70% of cases) It is most commonly seen in young adults with similar incidence in males and females. Overall, this subtype has a relatively favorable clinical course with prognosis better than other types of Hodgkin lymphoma. Association with EBV is uncommon and less frequent (10-25%) than in mixed cellularity CHL. Lacunar cells are considered a Reed Sternberg cell variant, and the diagnosis of nodular sclerosis can be based on the finding of nodules separated by collagenous/fibrous bands and lacunar cells. Lacunar cells are positive for CD15, CD30 and negative for CD20, CD45 (LCA). Image shows Lacunar cells -Image shows Nodular sclerosis